Most common type of anthrax is
1. Cutaneous
2. Gastrointestinal
3. Pulmonary
4. Pneumonic

Correct answer: 1. Cutaneous

Explanation: Ans. a (Cutaneous). (Ref. Harrison, Medicine, 18th/Chapter 221. Microbial Bioterrorism)Bacillus anthrax causes anthrax and disease may be seen in three forms;# Cutaneous, Pulmonary, and Intestinal- Cutaneous is the most common form (malignant pustule, Hide porter's disease)- Pulmonary is wool sorter's disease.Also Remember:Cultural characteristics of B.anthrax are:# M'fadyeans reaction# Frosted glass appearance# Medusa head sign# Inverted tree appearance# PLET media used